Multiple sinuses and induration of chest wall is likely due to
1. Tuberculosis
2. Atypical mycobacterial infection
3. HIV-AIDS patient with tuberculosis
4. Pulmonary actinomycosis

Correct answer: 4. Pulmonary actinomycosis

Explanation: Pulmonary Actinomycosis. Lung and pleura get infected by direct spread from pharynx or by aspiration. Empyema develops. Later chest wall nodules appear leading to sinuses with discharge(20%). Fascio-cervical type is the most common Reference : SRB's Manual of Surgery, 6th Edition, page no = 54.